During autopsy, Core body temperature is best measured In a case of sodomy, from
1. Rectum
2. Inferior surface of liver
3. Intra-aural (thermometer up to tympanic membrane)
4. Intra-nasal (thermometer up to cribriform plate)

Correct answer: 2. Inferior surface of liver

Explanation: Best site to measure core body temperature after death is Rectum. But in cases of sodomy temperature is measured from Inferior surface of liver. Other suitable sites are external auditory canal, nasal passages or by inserting a thermometer into the peritoneal cavity by a small opening.